Evaluation of screening test is by-
1. Sensitivity
2. Specificity
3. Predictive value
4. All the above

Correct answer: 4. All the above

Explanation: .
evaluation of a screening test is done by*specificity,*sensitivity,*predictive value of a positive test,*predictive value of a negative test,*percentage of false negatives,*percentage of false positives etc.

ref:park's textbook of preventive and social medicine,22 nd edition ,pg no 131